Which of the following is the most potent glucocorticoid:
1. Hydrocortisone
2. Prednisolone
3. Betamethasone
4. Triamcinolone

Correct answer: 3. Betamethasone

Explanation: Ans. C: Betamethasone Betamethasone and dexamethasone are very potent and highly selective glucocorticoids. Long acting, causes marked pituitary-adrenal suppression, but fluid retention and hypertension is not a problem. Hence they are preferred in situations in which fluid retention must be avoided like cerebral edema.